Chronic thiazide therapy causes persistent hypercalcemia due to -
1. Renal tubular acidosis
2. Fanconi's syndrome
3. Hypervitaminosis D
4. Hyperparathyroidism

Correct answer: 4. Hyperparathyroidism

Explanation: Ans. is d i.e., Hyperparathyroidism o Chronic thiazide therapy causes hypercalcemia because it enhances the parathyroid mediated increase of Ca reabsorption.